Referred pain from knee to hip is due to
1. Femoral Nerve
2. Saphenous nerve
3. Obturator nerve
4. Accessory Obturator nerve

Correct answer: 3. Obturator nerve

Explanation: Referred pain from knee to hip and vice-versa is due to Obturator nerve